Lauge - Hansen classification belongs to:-
1. Femur fracture
2. Elbow fracture
3. Ankle fracture
4. Shoulder fracture

Correct answer: 3. Ankle fracture

Explanation: Classification Fracture Lauge-Hansen Neer's Winquist Galand Gustilo Anderson Garden's/Pauwel's Ankle fracture Shoulder fracture Femur fracture Supracondylar humerus fracture Open fracture Neck of femur fracture